All of the following are characteristic of a bronchopulmonary segment EXCEPT:
1. It is surgically resectable
2. It is named according to the segmental bronchus supplying it
3. It is drained by independent intrasegmental branch of pulmonary vein
4. It is the largest subdivision of a lobe

Correct answer: 3. It is drained by independent intrasegmental branch of pulmonary vein

Explanation: The branches of pulmonary veins are intersegmental (not intra) and lie at the margins of bronchopulmonary segments and drain adjacent segments. Each segment drains into more than one vein and each vein drain more than one segment.